The Iodine content in iodized salt at production point should be:
1. 10 ppm
2. 20 ppm
3. 30 ppm
4. 40 ppm

Correct answer: 3. 30 ppm

Explanation: 30 ppm